Atypical moro's reflex is seen in A/E -
1. clavicle
2. Sternomastoid tumor
3. Shoulder dislocation
4. Brachial plexus injury

Correct answer: 2. Sternomastoid tumor

Explanation: Ans. is 'b' i.e., Sternomastoid tumour